158 Thyroid storm during surgery is most commonly due to ?
1. Perioperative intervention
2. Glucocorticoid side effect
3. Inadequate preoperative preparation
4. Rough handling during surgery

Correct answer: 3. Inadequate preoperative preparation